In Polycythemia vera, all the following are seen except:
1. Thrombocytopenia
2. Increased GI bleed
3. Thrombosis
4. Transient visual loss

Correct answer: 1. Thrombocytopenia

Explanation: Answer is A (Thrombocytopenia) Polycythemia vera is associated with thrombocytosis and not thrombocytopenia Polycythemia vera is associated with thrombocytosis and not thrombocvtopenia Polycythemia Vera is an acquired myeloproliferative disorder that is characterised by overproduction of three hematopoitic cell linesQ with predominant elevation in RBC's0. Thus there is overproduction of granulocytes, red cells and platelets. Overproduction of platelets results in thrombocytosis. Thrombocytopenia is not seen. Polvcythemia vera is associated with an increased incidence of both thrombosis and bleeding Both arterial and venous thrombosis may be seen in Polycythemia vera. Paradoxically patients may show a tendency of bleeding and bruising, mainly due to platelet of dysfunction. Transient visual loss may be seen in polycythemia vera as a manifestation of associated hyperviscosity syndrome.